Micro RNA transcribed by
1. RNA polymerase I
2. RNA polymerase II
3. RNA polymerase III
4. DNA polymerase

Correct answer: 2. RNA polymerase II

Explanation: RNA polymerase II (also called RNAP IIand Pol II) is an enzyme found in eukaryotic cells. It catalyzes the transcription of DNA to synthesize precursors of mRNA and most snRNA and microRNAIn eukaryote cells, RNA polymerase III(also called Pol III) transcribes DNA to synthesize ribosomal 5S rRNA, tRNA, and other small RNAs.RNA polymerase 1 (also known as Pol I) is, in higher eukaryotes, the polymerase that only transcribes ribosomal RNA (but not 5S rRNA, which is synthesized by RNA polymerase III), a type of RNA that accounts for over 50% of the total RNA synthesized in a cellThe DNA polymerases are enzymes that create DNA molecules by assembling nucleotides, the building blocks of DNA. These enzymes are essential to DNA replication and usually work in pairs to create two identical DNA strands from one original DNA molecule.